Presence of which of the following in the urine is diagnostic of glomerular injury
1. Bright red cells
2. 20% dysmorphic RBC's
3. 100 RBC per high power field
4. Beta 2 micro globulin

Correct answer: 2. 20% dysmorphic RBC's